Which of the following bacteria is known as Ebe Gaffky bacillus
1. Klebsiella
2. H. Aegypticus
3. Salmonella typhi
4. Corynebacterium

Correct answer: 3. Salmonella typhi

Explanation: Klebsiella Friedlander's bacilli H.Aegypticus Koch week's bacilli Salmonella typhi Ebe gaffky bacilli Corynebacterium Kleb- Loeffler bacilli